The recommended target HbA1C to minimise the risk of vascular complications in diabetic individual is
1. 10% or more
2. 8%
3. 7% or less
4. 9%

Correct answer: 3. 7% or less